Chlamydia does not cause:
1. Q. fever
2. Non gonococcal urethritis
3. Trachoma
4. Salpingitis

Correct answer: 1. Q. fever

Explanation: Q fever is cause by a rickettsia: Coxiella burnetii. In males C. Trachomatis causes non gonococcal urethritis, epididymitis, proctocolitis and reactive arthritis. In females C. Trachomatis causes non gonococcal urethritis, cervicitis, salpingitis, PID and ectopic pregnancy.